Investigation of choice to diagnose hypertrophic pyloric Stenosis in infants is
1. Contrast radiology
2. Gastroscopy
3. Ultrasound abdomen
4. CT scan abdomen

Correct answer: 3. Ultrasound abdomen

Explanation: Ultrasonography is recommended because its sensitivity and specificity are close to 100% for this disease. Ultrasound is reliable and easily performed and has replaced barium studies as the main investigation.There is a normal variation of pylorus muscle measurements with age and gestation but ultrasound has a very high sensitivity and specificity.